SLE like syndrome may be produced by all except:-
1. Sulfonamide
2. Psoralen
3. Hydralazine
4. Procainamide

Correct answer: 2. Psoralen

Explanation: Drugs causing DLE ( Drug induced Lupus Erythematosus ) can also be asked as drugs undergoing metabolism by liver acetylation. Such drugs are: C- SHIP C-Chlorpromazine S - Sulfonamides H - Hydralazine I - Isoniazid P - Procainamide